Which of the following anticancer drugs are competitive inhibitors of tyrosine kinase -
1. Imatinib and suntinib
2. Letrozole
3. Bicalutamide
4. Fulvestrant

Correct answer: 1. Imatinib and suntinib

Explanation: Ans. is 'a' i.e., Imatinib and suntinib Molecular targeted agentso Tyrosine kinase inhibitorsCompetitive inhibitors - Imatinib, Nilotinib, Sunitinib, Dasatinib, Erlotinib, Gefitinib, Lapitinib, Sorafinib (Remember all ends with 'nib ).Monoclonal antibodies - Cetuximab, panitumomab.o HER2/neu (ERB B2) inhibitors - Monoclonal antibody - Transtuzumab.o Targeted antibody - Gemtuzomab (anti CD-33), Rituximab (anti - CD20), Alemtuzumab (anti CD-52),o Vascular endothelial growth factor (VEGF) inhibitor - Monoclonal antibody - Bevacizumab.o Proteosome inhibitors - Bortezomib.o Histone deacylase inhibitor - Vorinostato DMA - methyl transferase inhibitor - 5-azacytidine, 2-deoxy-5 azacytidine.o All - trans - retinoic acid.o Biological response modifier - Recombinant IL-2 (aldesleukin, denileukin).